Which one of the following inhaiational agent is contraindicated in a patient witj history of epilepsy?
1. Isoflurane
2. Enflurane
3. Halothane
4. Sevoflurane

Correct answer: 2. Enflurane

Explanation: (B) Enflurane # Brief clonic seizures occur with the use of enflurane. Therefore enflurane is contraindicated.# Enflurane> Though it can give rise to fluoride as a metabolite, the quantity is insufficient to cause renal toxicity.> Bronchodilation and uterine relaxation is similar to halothane but it is better skeletal muscle relaxant> It stimulates salivary and respiratory secretions slightly, but they generally do not pose any problem.> It does not sensitize the heart to adrenaline (Arrhythmias are rare)> Fall in B.P. is similar to that caused by halothane as it also decreases peripheral resistance to some extent.